Janani Suraksha Yojana includes
1. Tetanus immunization
2. Institutional deliveries
3. Iron supplementaion
4. Abortions

Correct answer: 2. Institutional deliveries

Explanation: JANANI SURAKSHA YOJANA:- Launched on 12th April 2005. Objectives- To reduce maternal mortality and infant mortality through encouraging delivery at health institutions, and focus on institutional care among women in below poverty line families. Salient features: 100% centrally sponsored scheme. Under NRHM, it integrates cash assistance with institutional care during antenatal, delivery and immediate postpartum care. The benefit is given to all women, both rural and urban, belonging to below poverty line household and aged 19 years and above, upto first two live births. In low-performing states, the benefit will be extended to the third child if the mother chooses to undergo sterilization in the health facility where she delivered, immediately after delivery. ASHA worker acts as a link health worker between poor pregnant women and public sector health institution. Reference-park's textbook of preventive and social medicine, 23rd edition, pg no.455